During alcohol withdrawal, last signs or symptoms to appear are
1. Cluster seizures
2. Hallucinations
3. Anterograde amnesia
4. Delirium tremens

Correct answer: 4. Delirium tremens

Explanation: based on the timeline between the abstience of alcohol the presentation of alcohol withdrawl symptoms varies the knowledge of this is important for answeing alcohol withdrawl questions the image clearly explains the timeline between alcohol abstience and presentation of alcohol withdrawl symptoms Delirium tremens is last to appear after withdrawal of alcohol after 48-72hrs 1st to appear-coarse tremors Ref: Essentials of postgraduate psychiatry By JN Vyas 1st ed Pg 330